Most pathognomonic sign of irreversible cell injury
1. Amorphous densities in mitochondria
2. Swelling of the cell membrane
3. Ribosomes detached from endoplasmic reticulum
4. Clumping of the nucleus

Correct answer: 1. Amorphous densities in mitochondria

Explanation: Ref, Robbins 7/ep12,9/ep50